Treatment options for acne vulgaris is/are ?
1. Topical erythromycin
2. Oral Minocycline
3. Isotretinoin
4. All the above

Correct answer: 4. All the above

Explanation: Ans. is 'd' i.e., All the above Drugs used for treatment of Acne Topical Comedolytics : - Act by removing follicular plug, thereby reopen pilosebaceous ostia. Comedolytics are ; Retinoic acid, Adapalene, Azelaic acid, Tazarotene. Antibiotics : - Decrease bacterial population and have anti-inflammatory effect. Topical antibiotics for acne are ; Erythromycin, clindamycin, Benzoyl peroxide. Systemic Antibiotics : - Decrease bacterial population and have anti-inflammatory effect. Systemic antibiotics for Acne vulgaris are; Tetracycline, minocycline, doxycycline, Erythromycin, Roxithromycin, Cotrimoxazole, Dapsone. Retinoids [Isotretinoin (11-cis retinoic acid)J :- Removes follicular obstruction, and also suppresses sebum secretion (Sebostatic). Antiandrogens : - Decrease sebum secretion by decreasing androgens. Examples; Cyproterone, Ethinylestranol, Spironolactone. Cyproterone acetate (along with ethinylestranol) is particularly useful in teenage girls with mensural irregularities.